Health promotion includes:
1. PAS smear
2. Mass treatment
3. Immunization
4. Health education

Correct answer: 4. Health education

Explanation: Ans: D (Health.....) HEALTH PROMOTION Park 23rd/ 43# It is process of enabling people to increase control over & to improve health# The well known interventions in this area are: health education, environmental modification, nutritional interventions & life style & behavioural changes # Health education: This is one of the most cost-effective interventionsEnvironmental modification: A comprehensive approach to health promotion requires environmental modifications, such as provision of safe water, installation of sanitary' latrines, control of insects & rodents, improvement of housing etcNutritional interventions : These comprises food distributions & nutrition improvement of vulnerable groups, child feeding programmes, food fortifications & nutritional education# Life style & behavioural changes:Specific protection Park 23rd/ 43To avoid disease altogether is the ideal but this is possible only in a limited number of cases.The following are some of the currently available interventions aimed at specific protectionImmunizationUse of specific n utrien tsChemoprophylaxisProtection against occupational hazardsProtection against accidentProtection from carcinogenAvoidance from allergenThe control of specific hazards in the general environment e,g air pollution, noise controlControl of consumer product quality & safety of foods, drugs, cosmetics etcEarly Diagnosis &Treatment Park23rd/ 43# These are main interventions of disease control# Though notas effective & economical as primary prevention may be critically important in reducing in high morbidity & mortality in certain disease such as essential hypertension, cancer cervix & breast cancer. For many others such as T.B, leprosy, & STD, early diagnosis & treatment are the only mode of interventions# Mass treatment approach is used in the control of certain diseases viz. yaws, pinta, bejel, trachoma & filaria